Inhalational agent of choice in children :
1. Sevoflurane
2. Isofurane
3. Desflurane
4. Halothane

Correct answer: 1. Sevoflurane

Explanation: Ans. A (Sevoflurane) Sevoflurane has a wider therapeutic index in terms of cardiovascular depression & depression of ventilatory drive. Many if not most pediatric anesthesiologists consider it as theAgent of choice for inhalation induction .Desflurane & Isoflurane are not used for induction because they are more pungent & are a/w more coughing, breath holding & laryngospasm"- Morgan Anesthesia 4th/ 934-35